The tricyclic antidepressant with LEAST autonomic and cardiotoxic effects:
1. Amitriptyline
2. Desipramine
3. Lofepramine
4. Protriptyline

Correct answer: 3. Lofepramine

Explanation: Ans. C i.e. Lofepramine